Exanthemas are caused by all EXCEPT:
1. Malaria
2. Typhoid
3. Measles
4. Rubella

Correct answer: 1. Malaria

Explanation: Ans. a (Malaria). (Ref. Harrison, Principle of Medicine, 18th/324)EXANTHEMAS:# A skin eruption or rash or a disease in which skin eruption or rashes are a prominent manifestation.# Classically six exanthema or exanthematous were described that had somewhat similar rashes & were numbered in the order in which they were reported...DayInfection with exanthema1st(Measles)2nd(Scarlet fever)3rd(Rubella)4th(Dukes disease)5th(Erythema infectiosum)6th(Erythema subitum), and also in typhoid at the end of the first week a rash may appear on upper abdomen and on the back as sparse, slightly, rose-red spots which fades on pressure (rose spots).# In malaria, exanthema do not occur.